Which of the following nerve injury gives positive Trendelenburg test?
1. Obturator
2. Sciatic
3. Superior Gluteal
4. Inferior Gluteal

Correct answer: 3. Superior Gluteal

Explanation: When a person who has suffered a lesion of the superior gluteal nerve is asked to stand on one leg, the pelvis on the unsupported side descends, indicating that the gluteus medius and minimus on the supported side are weak or non-functional. This sign is referred to positive Trendelenburg test. Other causes of positive Trendelenburg test are,Fracture of the greater trochanterDislocation of the hip jointRef: Clinically Oriented Anatomy By Keith L. Moore, Arthur F. Dalley, II, Anne M. R. Agur, 2013, Page 582.